Stigmata of chronic Liver disease include all of the following, except
1. Parmar Erythema
2. Spinder naevi
3. Testicular Atrophy
4. Subcutaneous nodules

Correct answer: 4. Subcutaneous nodules

Explanation: Answer is D (Subcutaneous nodules) Subcutaneous nodules are generally not seen as a stigmata of chronic liver disease. Chronic Liver Disease manifests with loss of subcutaneous fatty tissue resulting in paper thin skin with markedfiilds (paper-money skin).